Drug (s) used in the treatment of multiple myeloma is/are-
1. Bortezomib
2. Methotrexate
3. Hydroxyurea
4. Ketoconazole

Correct answer: 1. Bortezomib

Explanation: Drugs used as first line treatment of multiple myeloma include bortezomib(proteasome inhibitor) & thalidomide( anti- angiogenic effects against tumour blood vessels & immunomodulatory effects).Reference :Davidson's principles &practice of medicine 22nd edition pg no 1047.